All of the following organs develop in the mesentery of stomach except:,
1. Liver
2. Spleen
3. Kidney
4. Pancreas

Correct answer: 3. Kidney

Explanation: Ans. c. Kidney